All are seen in hemobilia except -
1. Shock
2. Colicky pain
3. Melena
4. Jaundice

Correct answer: 1. Shock

Explanation: Ans. is 'a' i.e., Shock